Remodelling phase (maturing phase) is characterized by
1. Type I replacing type IV collagen
2. Type I replacing type III collagen
3. Type IV replacing type I collagen
4. Type III replacing type I collagen

Correct answer: 2. Type I replacing type III collagen

Explanation: Normal wound healing have 3 or 4 phases, most commonly agreed to be 1 the inflammatory phase (2-3 days) 2 the proliferative phase (3 days - 3 weeks) 3 the remodelling phase (maturing phase) (starts on day 6-7and may extend up to a year) In the remodelling phase is characterised by the maturation of collagen (type I replacing type III until a ratio of 4:1 is achieved). There is a realignment of collagen fibres along the lines of tension, decreased wound vascularity, and wound contraction due to fibroblast and myofibroblast activity. Bailey and Love 27e pg: 25